Meconium contains all except -
1. Lanugo
2. Bacterial flora
3. Epithelial debris
4. Bilirubin

Correct answer: 2. Bacterial flora

Explanation: Ans. is 'b' i.e., Bacterial floraMeconium contains -i) Intestinal epithelial cells iii) Mucus v) Bileii) Lanugo iv) Amniotic fluid vi) Water